What grade of marasmus does a child with wasting of the buccal pad of fat belongs to ?
1. 1
2. 2
3. 3
4. 4

Correct answer: 4. 4

Explanation: Wasting of buccal pad of fat is classified as grade 4 marasmus. Grading of marasmus (depending on wasting) 1 Loose skin fold in groin and axilla 2 Wasting of the thighs and buttocks 3 Wasting of the chest and back 4 Wasting of the buccal pad of fat Grading of kwashiorkor (depending on edema) 1 Pedal edema 2 Facial edema 3 Chest and body edema 4 Ascites Ref: Paha's Fundamentals of pediatrics pgno: 67